Which of the following is/are an example(s) of non-Mendelian inheritance?
1. Genomic imprinting
2. Uniparental disomy
3. Mitochondrial inheritance
4. All of the above

Correct answer: 4. All of the above

Explanation: Single-Gene Disorders with Non classic Inheritance. -This group of disorders can be classified into four categories: Diseases caused by trinucleotide-repeat mutations Disorders caused by mutations in mitochondrial genes Disorders associated with genomic imprinting Disorders associated with gonadal mosaicism